All of the following are known to cause biliary obstruction, except:
1. Clonorchis
2. Ascaris
3. Ankylostoma
4. Fasciola

Correct answer: 3. Ankylostoma

Explanation: Biliary obstruction has been noticed in infection with Clonorchis, Fasciola and Ascaris but not with Ankylostoma duodenale infection. Ref: Harrison's Principles of Internal Medicine, 16th Edition, Pages 1257, 1271